In myocardial infarction the infarct accquires hyperemic rim with an yellow centre at ?
1. 3-7 days
2. 10-20 days
3. 7-14 days
4. 1-2 hours

Correct answer: 1. 3-7 days

Explanation: Ans. is 'a' i.e., 3-7 days